Which of the following is not converted into active metabolite
1. Lisinopril
2. Fluxotine
3. Cyclophosphamide
4. Diazepam

Correct answer: 1. Lisinopril

Explanation: all ACE inhibitor are prodrug except captopril and lisinopril drug -active metabolite fluxotine-non fluxotine Cyclophosphamide- adenophosphamide Diazepam-oxazepam Refer KDT 7/e p22 -23